Therapeutic drug monitoring must be done for:
1. Penicillin
2. Phenytoin
3. Erythromycin
4. Lignocaine

Correct answer: 2. Phenytoin

Explanation: Ans. B. PhenytoinCharacteristics of drugs subject to therapeutic drug monitoringa. narrow therapeutic indexb. Relationship b/w plasma drug concentration and pharmacological effectc. desired therapeutic effect difficult to monitord. defined therapeutic (target) concentration rangee. marked pharmacokinetic variabilityDrugs commonly monitoredTherapeutic rangeDigoxin0.5-1.4microgr/LLithium0.6-1.2mmol/LPhenytoin10-20mg/LSodium valproate50-100mg/LTheophylline5-15mg/LAmiodarone1.0-2.5mg/LLignocaine2.0-5.0mg/L